The hormone associated with cold adaption is:
1. Growth hormone.
2. Thyroxine.
3. Insulin.
4. Melanocyte Stimulating Hormone

Correct answer: 2. Thyroxine.

Explanation: B i.e. Thyroxine